According to ADA guidelines the diagnosis of diabetes is made when the fasting blood glucose is more than
1. 126mg/dl
2. 100mg/dl
3. 140mg/dl
4. 20mg/dl

Correct answer: 1. 126mg/dl

Explanation: Refer Robbins page no 1106 Blood glucose is normally maintained in a very narrow range of 70 to 120 mg/dL. According to the ADA and WHO, diagnostic criteria for diabetes include: 1. A fasting plasma glucose >= 126 mg/dL, 2. A random plasma glucose >= 200 mg/dL (in a patient with classic hyperglycemic signs, as discussed later), 3. 2-hour plasma glucose >= 200 mg/dL during an oral glucose tolerance test (OGTT) with a loading dose of 75 gm, an